Most common extra-oral cause of Halitosis is?
1. Indigestion
2. Chronic Sinusitis
3. Alcohol Intake
4. Diabetes Mellitus

Correct answer: 2. Chronic Sinusitis